Healing by Haversian Remodeling is a type of:
1. Primary healing.
2. Secondary healing.
3. Tertiary healing.
4. Intermediate healing.

Correct answer: 1. Primary healing.